Cobra head deformity is characterstic of
1. Posterior urethral valve
2. Ureterocele
3. Bladder tumor
4. Cytitis

Correct answer: 2. Ureterocele

Explanation: B i.e. Ureterocele